In which of the following sites is Salmonella typhi most likely to be found during the carrier state?
1. Blood
2. Gallbladder
3. Kidney
4. Liver

Correct answer: 2. Gallbladder

Explanation: Salmonella typhi is the most likely to be found in gall bladder during the carrier state. Carriage: Up to 5% of patients become carriers. - The carrier state is more common in women than in men and in the older people (over 40 years) than in young people. - Carriers usually harbour the organisms in the gallbladder or biliary tract. - Type of Carriers:- Convalescent - shed bacilli for 3 weeks-3 months after clinical cure. Temporary - shed bacilli for 3 months to 1 year after clinical cure. Chronic - shed bacilli for more than 1 year. - Carriers can be diagnosed by stool/ urine culture or sewer swab culture. - Treatment of carriers: Ampicillin or Amoxicillin + probenecid for 6 months.